Most sensitive test for diagnosing chlamydia:
1. Gram's staining
2. Nucleic acid amplification testing
3. Elis A
4. Fluoresant microscopy

Correct answer: 2. Nucleic acid amplification testing

Explanation: Ans. (b) Nucleic acid amplification testing